Association fibres are A/E
1. Uncinate
2. Cingulum
3. Longitudinal fasciculus
4. Forceps major

Correct answer: 4. Forceps major

Explanation: D i.e. Forceps major